Aqueous humor is produced by the
1. Choroid plexus
2. Trabecular meshwork
3. Ciliary processes
4. Vitreous body

Correct answer: 3. Ciliary processes

Explanation: Aqueous humor is produced by the ciliary processes of the ciliary body. It flows from the posterior chamber, through the pupil, into the anterior chamber, and finally to the canal of Schlemm, which empties into the extraocular/episcleral veins.